Most common cause of stridor after birth:
1. Laryngeal papilloma
2. Laryngeal web
3. Laryngomalacia
4. Vocal cord palsy

Correct answer: 3. Laryngomalacia

Explanation: (c) Laryngomalacia(Ref. Current Diagnosis & Treatment Otolaryngology, Lalwani, 3rd ed., 481; Scott Brown, 8th ed., Vol 2; 333)Laryngomalacia, which is the most common congenital anomaly of the larynx, is the most common cause of congenital laryngeal stridor.Vocal cord palsy is the 2nd most common cause of congenital stridor. Laryngeal web, a rare malformation can also lead to stridor.Laryngeal papilloma is the most common benign tumour of the larynx in children. Here also the child presents with stridor. In laryngeal papilloma there is additionally hoarseness of voice as it involves the vocal cord, whereas in laryngomalacia which is supraglottic the cry of the child is normal. Also laryngeal papilloma is seen in children from 2 to 5 years whereas laryngomalacia disappears by 2 years of age.